Chance fracture is/are
1. Mainly ligamentous injury
2. Neurological involvement is common
3. Flexion compression injury
4. Seat belt injury

Correct answer: 4. Seat belt injury

Explanation: Car seat belt injury causes chance fracture.